Chain of lakes appearance is seen in?
1. Chronic pancreatitis
2. Acute pancreatitis
3. Gall stone ileus
4. Sub-acute intestinal obstruction

Correct answer: 1. Chronic pancreatitis

Explanation: Ans. (a) Chronic pancreatitisRef.Sutton's Radiology 7thedn volume 1 p 798, Sabiston textbook of surgery 18thed ch